Following is caused by Arbovirus:
1. Mumps
2. Measles
3. HIV
4. Kyasanur Forest Disease

Correct answer: 4. Kyasanur Forest Disease

Explanation: (D) Kyasanur Forest Disease # Kyasanur Forest Disease: is caused by Arbovirus> Genus: Flavivirus> Distribution : India (Karnataka)> Vector/Tick> Reservoir: Rodents (Ticks)